In old age for rectal prolapse palliative surgery in a patient unfit for surgery is
1. Orr-Loygue procedure
2. Well's procedure
3. Thiersch's operation
4. Low anterior resection

Correct answer: 3. Thiersch's operation

Explanation: Rectal prolapse Procedures Abdominal Procedures Perineal procedures Considered the surgical procedures of choice for young & fit individuals Not suitable for elderly and inform patients Are most likely to improve continence Have least recurrence rates Postoperative constipation is the MC side effect Abdominal procedures Abdominal rectopexy Suture rectopexy Mesh rectopexy - posterior (Well's Ivalon's), Anterior (Ripstein's), Lateral (Orr-Loygue), ventral Resection rectopexy (Frykmann and Goldberg) Anterior resection Relatively minor procedures that may be performed under local or regional anaesthesia Well tolerated by elderly, frail & unfit patients Less likely to improve continence Recurrence rates varrying from 5-35% higher than following abdominal rectopexy Postoperative constipation is infrequent Perineal procedure Delorme's muscosectomy Theirsch and encirclement Altemeier rectosigmoidectomy Ref: Bailey and love 27th edition Pgno : 1323